Permanent sterilization is all except ?
1. Electrocoagulation
2. Vasectomy
3. Clipping
4. Medroxy progesterone

Correct answer: 4. Medroxy progesterone

Explanation: Depot medroxyprogesterone acetate /DMPA is an injectable contraceptive taken as intramuscular injection of 150 mg every 3 months. The contraceptive effect produced is reversible. PARK'S TEXTBOOK OF PREVENTIVE AND SOCIAL MEDICINE PAGE NO 503 23rd EDITION